Which of the following results in bitemporal hemianopia?
1. Craniopharyngioma
2. Optic nerve glioma
3. Posterior cerebral artery occlusion
4. AION

Correct answer: 1. Craniopharyngioma

Explanation: - Tumors of the pituitary body are MCC of bitemporal hemianopia, Suprasellar tumors like: Craniopharyngioma and Suprasellar meningioma also results in bitemporal hemianopia